Carey coombs murmur is seen in –
1. Severe mitral stenosis
2. Acute rheumatic carditis
3. Pure aortic regurgitation
4. Severe pulmonary hypertension

Correct answer: 2. Acute rheumatic carditis